True about goodsall rule?
1. To know about likely position of external opening of fistula in ano
2. Posterior located external openings are joined by straight line
3. Not valid if external opening >3cm away from anal verge
4. Not valiod in Single external opening

Correct answer: 3. Not valid if external opening >3cm away from anal verge

Explanation: Goodsall rule is to know internal opening of fistula in ano.